Amyl nitrate inhalation test is used to detect?
1. Carcinoma esophagus
2. Achalasia cardia
3. Oesophageal diverticulum
4. Transeoesophageal fistula

Correct answer: 2. Achalasia cardia

Explanation: Ans. is 'b' i.e., Achalasia cardiaAmyl nitrite inhalation is used to distinguish patients of achalasia from those with pseudoachalasia.Pseudoachalasia of the esophagus, is caused by tumor infiltration of the distal esophagus, and closely simulates the esophageal motor and morphologic abnormalities of achalasia.Amyl nitrite inhalation causes relaxation of lower esophageal sphincter in achalasia. In contrast, amyl nitrite does not relax the LES segment in pseudoachalasia.